Threshold for bone conduction is normal and that for air conduction is increased in disease of:
1. Middle ear
2. Inner ear
3. Cochlear nerve
4. Temporal lobe

Correct answer: 1. Middle ear

Explanation: Threshold for air conduction is increased (i.e. low frequency sounds are not heard well) whereas that of bone conduction in normal i.e. Bone conduction > air conduction which is seen in conductive deafness. Conductive deafness occurs in lesions of either external ear, tympanic membrane, middle ear or ossicles up to stapedio-vestibular joint.